Which of the following are known as the resistance vessels?
1. Arterioles
2. Venules
3. Capillaries
4. Aorta

Correct answer: 1. Arterioles

Explanation: The small arteries and arterioles are referred to as resistance vessels because they are the principal site of the peripheral resistance. The veins are important blood reservoirs of blood and therefore called capacitance vessels. Also know: At rest, at least 50% of the circulating blood volume is in the systemic veins, 12% is in the heart cavities, and 18% is in the low-pressure pulmonary circulation. Only 2% is in the aorta, 8% in the arteries, 1% in the arterioles, and 5% in the capillaries. When extra blood is administered by transfusion, less than 1% of it is distributed in the arterial system (the "high-pressure system"), and all the rest is found in the systemic veins, pulmonary circulation, and heart chambers other than the left ventricle (the "low-pressure system"). Ref: Barrett K.E., Barman S.M., Boitano S., Brooks H.L. (2012). Chapter 31. Blood as a Circulatory Fluid & the Dynamics of Blood & Lymph Flow. In K.E. Barrett, S.M. Barman, S. Boitano, H.L. Brooks (Eds), Ganong's Review of Medical Physiology, 24e.